Which of the following opioid should not be used with MAO inhibitors?
1. Morphine
2. Pentazocine
3. Buprenorphine
4. Pethidine

Correct answer: 4. Pethidine

Explanation: Ref: KD Tripathi 6/e p440 Most of Pethidine is metabolized by MAO-A and is inactivated. Small amount is converted to nor-Pethidine, which has CNS stimulant properties. Therefore if combined with MAO inhibitors, most of Pethidine will form nor-Pethidine and the risk of seizures will increase.